In MI following:are used except -
1. Fibrinolytics
2. Plasminogen activator inhibitor
3. Anti thrombin
4. Platelet inhibitor

Correct answer: 2. Plasminogen activator inhibitor